Unilateral injury to hypoglossal nerve leads to all, EXCEPT:
1. Hemiatrophy of involved side
2. Deviation of tongue towards the same side
3. Loss of taste sensation over the opposite half of the tongue
4. Fasciculation of the tongue

Correct answer: 3. Loss of taste sensation over the opposite half of the tongue

Explanation: Hypoglossal nerve is not involved in the transmission of taste sensation.General sensation from anterior 2/3rd of tongue is carried by lingual nerve, taste sensation is carried by chorda tympani a branch of facial nerve. Glossopharyngeal nerve carries both taste and general sensation from posterior 1/3rd of tongue. Posterior most part of tongue anterior to epiglottisis supplied by internal laryngeal nerve from vagus.Hypoglossal nerve supplies all the intrinsic and extrinsic muscles of the tongue except Palatoglossus which is supplied by cranial root of accessory nerve pharyngeal plexus.Injury to hypoglossal nerve presents as:Deviation of tongue towards paralysed side (due to unopposed action of normal contralateral genioglossus muscle).Hemiatrophy of tongue on affected sideFibrillation and fasciculation on the affected half of tongue.Absent sensory loss